Best specimen of bone for sex determination is :
1. Femur
2. Pelvis
3. Skull
4. Mandible

Correct answer: 2. Pelvis

Explanation: B i.e. Pelvis